Psoralen + ultraviolet therapy is useful in:
1. Vitiligo
2. Mycosis fungoides
3. Psoriasis
4. All of the above

Correct answer: 4. All of the above

Explanation: Ans. D. All of the abovea. Psoriasis: PUVA is li combination of oral or topical psoralen and ultraviolet A and is used if the disease does not respond to ultraviolet B. Treatments twice a week for several months are required for resolution of severe systemic psoriasis.b. Generalized vitiligo occasionally responds to PUVA therapy. It may take 30 weeks of twice weekly treatments to achieve the response.c. Mycosis fungoides: Ultraviolet B or PUVA is helpful in producing improvement in parapsoriasis en plaque and early patch or plaque stage mycosis fungoides. If lesions are less than a few mm thick PUVA may also produce good response.